Polysomnography contains all of the following tests except:
1. Electroencephalography
2. Pulse oximetry
3. Electrooculography
4. Arterial pCO2 measurement

Correct answer: 4. Arterial pCO2 measurement

Explanation: Ans: D. Arterial pCO2 measurement(Ref Kaplan & Sadock 11/e p264. 535)Polysomnography:Used to assess disorders of sleep by concurrently assessing the EEG, ECG, blood oxygen saturation, respirations, body temperature, electromyogram & electro-oculogram.Does not use arterial pCO2 measurement.